Bleeding time assesis:
1. Extrinsic clothing pathway
2. Intrinsic clothing pathway
3. Fibrinogen level
4. Function of platelets

Correct answer: 4. Function of platelets

Explanation: (Function of platelets): Ref: 649-R, 428-HM (468-Basic pathology 8th)Bleeding time asses the platelet functions and vascular integrity